The defluoridations process of drinking water developed by the NEERI is popularly known as –
1. Activated sludge process
2. Recarbonation process
3. Nalgonda process
4. Double pot method

Correct answer: 3. Nalgonda process